A 35 years old moderately active man burns how much colories per day -
1. 1500 kcal/d
2. 2500 kcal/d
3. 3500 kcal/d
4. 4000 kcal/d

Correct answer: 2. 2500 kcal/d

Explanation: Ans. is 'b' i.e., 2500 kcal/dEnergy requirment/day (calories burn per day)Age of men (years)Sedentary workModerate workHeavy work19-302250-24502650-28503400-360031-502000-22002450-26503100-3300>501900-20002400-25003000-3100